Klinefelter no of chromosomes-
1. 47
2. 46
3. 45
4. 44

Correct answer: 1. 47

Explanation: Ans. is 'a' i.e., 47 o In Klinefelter's syndrome there is extra X or Y chromosome to a male karyoty pe. Thus there are 47 chromosome.